Weight allowed in skeletal traction upto?
1. 5 kg
2. I 0 kg
3. 20 kg
4. 30 kg

Correct answer: 3. 20 kg

Explanation: Ans. is `c' i.e., 20 kg Traction Traction is defined as a pulling force to treat muscle or skeletal disorders (fractures, dislocation). There are two major types of tractions : skin & skeletal traction: A. Skin traction Here the traction is applied to the skin (using adhesive or nonadhesive tape or straps) which is indirectly transmitted to the bone. Skin traction can sustain a pull of no more than 4 to 5 kgs. Skin traction is given by adhesive tape & bandage, Buck's appratus. Gallow's/Bryant's/Russel traction are examples of skin traction. B. Skeletal traction Skeletal traction is an invasive procedure in which pins, screws, wires or tongs (e.g., Seinmann pin, Denham's pin, Kirschner's wire, ice tong, Crutchfield's tong, Bohler stirrup, Ilizarov's wire) are placed into the bones so that the weight is directly applied to the bone. Skeletal traction is used. In cases when the pulling force needed is more than the skin traction can bear. When longer durations of traction is required. When the part of the body needing traction is positioned so that the skin traction is impossible. Upto 20 kg weight is permitted.